The best test for oesophageal varices is
1. CT- scan
2. Gastro- oesophagoscopy
3. Tomography
4. Ultrasound

Correct answer: 2. Gastro- oesophagoscopy

Explanation: Endoscopy - upper GI endoscopy represents the most reliable single technique as it shows oesophageal varix and bleeding point Dilated longitudinal veins running a Zig- Zag course Diffuse oesophagal spasm is best diagnosed by Manometry Commonest cause of acute upper GI haemorrhage - Peptic ulcer ref - Srb's manual of surgery 5e p790